Megaloblastic anemia is caused by
1. B6
2. Thiamine
3. Folic acid
4. Riboflavin

Correct answer: 3. Folic acid

Explanation: C. i.e. (Folic acid) (377- Harsh Mohan 5th) (437- Basic pathology 8th)MEGALO BLASTIC ANEMIAS - two principal causes1. Folate deficiency (Folic acid metabolism)2. Vitamin B12 deficiency* Earliest change in PBS is appearance of hypersegmented neutrophils*** Bone marrow is markedly hypercellular* Macrocytosis (other causes - Haemolysis, liver disease, alcoholism, hypothyroidism**, aplastic anaemia, myeloproliferative disorders and reticulocytosis)* ** MCV |, MCH|, MCHC Normal or |* **SHILLING TEST for Vitamin Bj2 deficiency* FIGLU TEST for folate deficiency* The gene responsible for folic acid transport is situated on chromosome 21**